Hasner valve is seen in:
1. Nasolacrimal duct
2. Gartner's duct
3. Stenson's duct
4. Wharton's duct

Correct answer: 1. Nasolacrimal duct

Explanation: Ans: A (Nasolacrimal duct) VALVE OF HASNER BDC4th/Yolin230"The inferior meatus lies underneath the inferior concha, and is the largest of the three meatuses. The nasolacrimal duct opens into it at the junction of its anterior one-third and posterior two-thirds. The opening is guarded by the lacrimal fold or Hasner's valve"Table (Physiology by A.K. Jain 5th/207)GlandRoute of secretory' ductParotidStenson's ductSubmandibular or SubmaxillaryWharton's ductSublingualDuct of RivinusGARTNER'S DUCTIt is a potential embryologicai remnant in human female development of the mesonephric ducts in thedevelopment of the urinary and reproductive organs. It was discovered and described in 1822 by Hermann Treschow Gartner.The paired mesonephric ducts in the male, in contrast, go on to form the paired epididymis, ductus deferens, ejaculatory duct and seminal vesicle.In the female they may persist between the layer of the broad ligament of the uterus and in the wall of the vagina.These may give rise to Gartner's duct cysts